The tubuloglomerular feedback is mediated by:
1. Sensing of Na+  concentration in the macula densa
2. Sensing of HCO3 - concentration in macula densa
3. Sensing NaCl concentration in the macula densa
4. Opening up of voltage gated Na+ channels in afferent arteriole

Correct answer: 3. Sensing NaCl concentration in the macula densa

Explanation: Macula densa sense both Na+ and Cl- , but Cl- is more important.